THE MAIN DISTINCTIVE SIGN IN CORPUS CALLOSUM DEGENERATION ON USG IS?
1. Tear drop sign
2. lemon sign
3. Banana sign
4. Ring sign

Correct answer: 1. Tear drop sign

Explanation: With complete agenesis of the corpus callosum, a normal cavum septum pellucidum cannot be visualized sonographically, and the frontal horns are displaced laterally. There is mild enlargement of the Atria posteriorly--such that the ventricle has a characteristic "Teardrop" appearance